Which of the following is not caused by furosemide?
1. Hypokalemia
2. Hyperuricemia
3. Hypercalcemia
4. Hyponatremia

Correct answer: 3. Hypercalcemia

Explanation: Furosemide increases Ca2+ excretion (contrast to thiazides which reduce it) as well as Mg++ excretion by abolishing the lumen positive transepithelial potential difference in the TAL which drives  reabsorption of these divalent cations. Furosemide tends to raise blood uric acid level by competing with its proximal  tubular secretion as well as by increasing  reabsorption in PT that occurs as a consequence of reduced ECF volume. The magnitude of hyperuricaemia is lower than that  with  thiazides. A small rise in blood sugar level may be noted after regular use of furosemide, but this is again less marked compared to thiazides. 
Thick ascending limb of Loop of Henle = TAL.
Reference: Essentials of Medical Pharmacology Eighth Edition KD  TRIPATHI  page no 627